Mycobacterium tuberculosis was discoverd by -
1. Louispasteur
2. Robert koch
3. Lister
4. Jener

Correct answer: 2. Robert koch

Explanation: Ans. is 'b' i.e., Robert koch ScientistAssociated withFracastoriusProposed a contagium vivum (cause of infectious disease)Von PlencizSuggested that each disease is caused by a separate agentAugustino BassiEarliest discovery of pathogenic microorganismDavaine and PollenderObserved anthrax bacilli in blood of animalLouis PasteurFather of microbiology (Also see above explanation)Robert KochFather of medical microbiology Discovered AL tuberculosis and V. cholera Introduced staining techniques methods of obtaining bacteria in pure culture on solid media Suggested Koch's postulateJoseph ListerFather of Aseptic surgery Proved that sepsis could be prevented by Hand hygieneAntony Van Leeuwen hoekInvented microscope (Father of compound microscope} Father of BacteriologyEdward JennerFather of ImmunologyPeyton RousIsolated virus causing sarcoma in fowlVon Behring & KitasatoDescribed antibody